All of the followings can cause hemolytic anemia EXCEPT :
1. Isoniazid
2. Rifampicin
3. Co-trimox azole
4. Propanolol

Correct answer: 4. Propanolol

Explanation: Ans. is 'd' Propanolol (Ref : Harrison, 15/e. p 433)List of drugs causing hemolytic anaemiaIsoniazid *Rifampicin *Sulfonamide*Quinidine*ProcainamidePenicillinPhenacetinDaps one*Melphalan